Koebner's phenomenon is seen in – a) Lichen planusb) Wartsc) Bechet syndromed) Psoriasise) Viggo
1. bce
2. abde
3. abcd
4. acde

Correct answer: 2. abde